Water is used for hardening in -
1. Sodalime
2. Baralime
3. Both
4. None

Correct answer: 2. Baralime

Explanation: Water of crystallization is used in Baralime and silica is used in sodalime